Zinc dose in diarrhea of 7 months infant ?
1. 10 mg x 10 days
2. 20 mg x 10 days
3. 10 mg x 14 days
4. 20 mg x 14 days

Correct answer: 4. 20 mg x 14 days

Explanation: Ans. is 'd' i.e., 20 mg x 14 days According to WHO guidlines Dose of zinc 2 month - 6 month = 10 mg/day 14 days > 6 month = 20 mg/day 14 days